Trendelenbergs test is positive in injury to:
1. Superior gluteal nerve
2. Inferior gluteal nerve
3. Pudendal nerve
4. Obturator nerve

Correct answer: 1. Superior gluteal nerve

Explanation: Ans. A i.e. Superior gluteal nerve injury Trendelenburg test The patient is asked to stand on one leg for 30 seconds without leaning to one side. Doctor obsereves the patient to see if the pelvis stays level during the one-leg stance by observing ASIS (anterior superior iliac spine) A positive Trendelenburg Test is indicated if during unilateral weight bearing the pelvis drops toward the unsupported side A positive test can indicate an unstable hip on the unsupported side or a weak gluteus medius muscle of the standing leg. There are two important elements that maintain the stability of the hip in the standing position. -- First the strength of the surrounding muscles (gluteus medius, gluteus minimus), and second -- The lever system of the femoral neck and head in the hip joint. Involvement of any of the structure gives a positive result